A 27-year-old patient presents with an inability to draw the scapula forward and downward because of paralysis of the pectoralis minor. Which of the following would most likely be a cause of his condition?
1. Fracture of the clavicle
2. Injury to the posterior cord of the brachial plexus
3. Fracture of the coracoid process
4. Axillary nerve injury

Correct answer: 3. Fracture of the coracoid process

Explanation: Pectoralis minor is paralyzed because it is inserted on coracoid process of scapula. Origin: Second to the fifth ribs Insertion: Coracoid process Innervation - Medial pectoral nerves Action - Depresses the shoulder and forms the anterior wall of the axilla Pectoralis minor has no attachment on the clavicle.